Mild hemolytic anaemia is associated with vitamin..... dificiency-
1. B6
2. E
3. A
4. C

Correct answer: 2. E

Explanation: Ans. is 'b' i.e., Eo Vitamin E acts acts as an antioxidants that serve to scavenge free radicals formed in redox reactions throughout the body.o Vitamin-E deficient erythrocytes are more susceptible to oxidative stress and have a shorter half life in the circulating blood.